Cofactor of carbonic anhydrase is?
1. Molybdenum
2. Zinc
3. Copper
4. Selenium

Correct answer: 2. Zinc

Explanation: Ans. (b) ZincRefiText of Biochemistry By G.P Talwar and LMSrivastava p 585, Shinde and Chatterjee 6th ed /-555